A 58-year-old male presents with the sudden onset of excruciating pain. He describes the pain as beginning in the anterior chest, radiating to the back, and then moving downward into the abdomen. His blood pressure is found to be 160/110. Your differential diagnosis includes myocardial infarction; however, no changes are seen on ECG, and you consider this to be less of a possibility. You obtain an x-ray of this patient's abdomen and discover a "double-barrel" aorta. This abnormality most likely results from
1. Atherosclerosis of the abdominal aorta
2. A microbial infection
3. A congenital defect in the wall of the aorta
4. Loss of elastic tissue in the media

Correct answer: 4. Loss of elastic tissue in the media

Explanation: The pain caused by a dissecting aneurysm is similar to the pain caused by a myocardial infarction, but it extends into the abdomen as the dissection progresses. Additionally, the blood pressure is not decreased with a dissecting aneurysm unless the aorta itself has ruptured Dissecting aneurysms are usually the result of cystic medial necrosis of the aorta. This abnormality results from loss of elastic tissue in the media and is associated with hypertension and Marfan's syndrome. Most cases of dissecting aneurysms involve a transverse tear in the intima and are located in the ascending aorta, just above the aortic ring Berry aneurysms, found at the bifurcation of arteries in the circle of Willis, are due to congenital defects in the vascular wall. Rupture of these aneurysms may produce a fatal subarachnoid hemorrhage Syphilitic (luetic) aneurysms occur in the thoracic aorta and may lead to luetic heart disease by producing insufficiency of the aortic valve. Mycotic (infectious) aneurysms result from microbial infection during septicemia, usually secondary to bacterial endocarditis. They are prone to rupture and hemorrhage Reference: Robbins & Cotran Pathologic Basis of Disease, 9edition.